Action of superior oblique is:
1. Elevation, Intortion, Adduction
2. Depression, Intortion, Adduction
3. Elevation, Intortion, Abduction
4. Depression, Intortion, Abduction

Correct answer: 4. Depression, Intortion, Abduction

Explanation: Ans. D. Depression, Intortion, AbductionMusdePrimarySecondaryTertiaryMedial rectusAdduction--Lateral rectusAbduction--Inferior rectusDepressionExtorsionAdductionSuperior rectusElevationIntorsionAdductionInferior obliqueExtorsionElevationAbductionSuperior obliqueIntorsionDepressionAbduction